Dermatophytes primarily involves _______:
1. Stratum corneum
2. Stratum granulosum
3. Stratum basale
4. Stratum spinosum

Correct answer: 1. Stratum corneum

Explanation: Ans. A. Stratum corneumDermatophytes infect and survive only in the dead keratin layers of skin (stratum corneum), hair and nails as they are keratinophilic.